Fungi without sexual cycle are classified as:
1. Fungi imperfecti
2. Phycomycetes
3. Ascomytcetes
4. Basidiomycetes

Correct answer: 1. Fungi imperfecti

Explanation: Fungi have classified into phylums according to the three types of sexual spores formed by them. Basidiomycetes form sexual spores called basidiospores. Ascomycetes form sexual spores called ascospores. Phycomycetes or zygomycetes form sexual spores called zygospores. Fungi imperfecta or deuteromycetes are those fungi where the sexual spores have not been identified yet.